Kusumlata presents with acute painful red eye and mild dilated vertically oval pupil. Most likely diagnosis is:
1. Acute retrobulber neuritis
2. Acute angle closure glaucoma
3. Acute anterior uveitis
4. Severe keratoconjunctivitis

Correct answer: 2. Acute angle closure glaucoma

Explanation: Acute painful red eye and mild dilated vertically oval pupil give the diagnosis of acute angle closure glaucoma. Ref: Comprehensive Ophthalmology By AK Khurana, 2nd Edition, Page 232